Koenen's tumor associated with ?
1. Tuberous sclerosis
2. Neurofibromatosis
3. Psoriasis
4. Alopecia aerata

Correct answer: 1. Tuberous sclerosis

Explanation: Ans. is 'a' i.e., Tuberous sclerosis Koenen's periungual fibroma is seen in tuberous sclerosis